Pin-point pupil is seen in:
1. Pontine haemorrhage
2. Barbiturate poisoning
3. Glaucoma
4. Congenital cataract

Correct answer: 1. Pontine haemorrhage

Explanation: A i.e. Pontine haemorrhage